Mark the false statement among given options regarding malaria species :
1. P. vivax infects RBC's < 14 days
2. P. falciparum infects young RBC's only
3. P. ovale selectively infect reticulocytes
4. P. malariae infects old RBC's.

Correct answer: 2. P. falciparum infects young RBC's only

Explanation: Plasmodium species P. falciparum infects RBC's of all ages P. vivax infects RBC's < 14 d. P. malariae infects old RBC's. P. ovale selectively infect reticulocytes.